What is the antidepressant agent most likely to cause persistent erections (priapism) in a 40-year-old male patient?
1. Venlafaxine
2. Tranylcypromine
3. Trazodone
4. Doxepin

Correct answer: 3. Trazodone

Explanation: Trazodone is the agent most likely to cause priapism in this patient. Trazadone:It is an atypical antidepressants, belonging to SARI(Serotonin anatgonism and reuptake inhibitors) Uses: Depression,Insomnia Side effects: Sedation Priapism Hypotension